Liver biopsy in Malaria will have:
1. Microabscesses
2. Kupffer cell hyperplasia
3. Piecemeal necrosis
4. Non caseating granuloma

Correct answer: 2. Kupffer cell hyperplasia

Explanation: Liver Biopsy in Malaria will have Kupffer cell hyperplasia with parasitize RBC and Hematin in it. Condition Seen in Piecemeal Necrosis (interface Hepatitis) Viral Hepatitis Autoimmune hepatitis Steatohepatitis Munro micro abscess Psoriasis Pautrier's micro abscess Mycosis fungoides/ Sezary Syndrome Non Caseating Granuloma Sarcoidosis Crohn's Cat Scratch Foreign Body